Which of the following drugs does not cause gynecomastia :
1. Ketoconazole
2. Cimetidine
3. Digitalis
4. Pyrazinamide

Correct answer: 4. Pyrazinamide